National Iron Plus Initiative is an example of:-
1. Primordial prevention
2. Primary prevention
3. Secondary prevention
4. Tertiary prevention

Correct answer: 2. Primary prevention

Explanation: National Iron Plus Initiative is an attempt to work on Iron deficiency anemia, in which its beneficiaries will receive Iron and Folic acid supplementation irrespective of their iron / hemoglobin status. Thus its Primary level of prevention (Specific protection). Iron and folic acid supplementation is given as a prophylaxis and hence would be an example of primary prevention. In primary prevention, it is specific protection against Anemia. LEVELS OF PREVENTION: Primordial prevention Prevention of emergence of development of risk factors Done by health education. Primary prevention Action taken prior to the onset of disease Done by health promotion & specific protection. Secondary prevention Action which halts the progress of a disease Done by early diagnosis & treatment Tertiary prevention Action taken during the progression/ end of disease Done by diability limitation & rehabilitation. - Note: All vaccines comes under primary level of prevention - specific protection. All screening & diagnostic tests comes under secondary level of prevention.